Drug of choice for cholera chemoprophylaxis is
1. Erythromycin
2. Ampicilline
3. Tetracyclines
4. Ciprofloxacin

Correct answer: 3. Tetracyclines